The orifice of the fourth canal in a maxillary molar is usually found:
1. Under the Distofacial cusp
2. Lingual to the orifice of the Mesiofacial canal
3. On a line running from the distofacial orifice to the Mesiofacial orifice
4. On a Line running from the Lingual orifice to the Distofacial orifice

Correct answer: 2. Lingual to the orifice of the Mesiofacial canal